The cell bodies of orexinergic neurons are present in
1. Locus ceruleus
2. Dorsal raphe
3. Lateral hypothalamic area
4. Hippocampus

Correct answer: 3. Lateral hypothalamic area

Explanation: Brains from humans with narcolepsy often contain fewer hypocretin (orexin) producing neurons in the hypothalamus. hypothalamic neurons release orexin to play a role inswitching between sleep and wakefulness Ganongs review of medical physiology;26rd edition;pg:268,273